The disposal of night soil and refuse is by?
1. Chemical sterilization
2. Burning
3. Composting
4. Any of the above

Correct answer: 3. Composting

Explanation: Ans. is 'c' i.e., Composting